Which of the following can prevent neural tube defects in pregnancy?
1. Iron
2. Vit B12
3. Folic acid
4. Zinc

Correct answer: 3. Folic acid

Explanation: Ans: c (Folic acid) Ref: Dutta, 6th ed, p. 104, 409Folic acid is supplemented in the first trimester to prevent neural tube defects.Folic acid supplementation:1. Normal pregnancy -0.5 mg in first trimester2. Pregnancy with history of NTD - folic acid 4mg daily, 1 month before conception continued for 12 weeks of pregnancy.Folic acid requirements - ICMR recommendations:1. Healthy adults -100 pg / day2. Pregnancy - 400 pg / day3. Lactation -150 pg /day4. Children -100 pg / dayBRIDGE:unmanifested deficiency of folic acid has been implicated as a cause of abruption placenta.